Mandibular nerve passes through -
1. Formanen rotundum
2. Foramen lacerum
3. Stylomastoid foramen
4. Foramen ovale

Correct answer: 4. Foramen ovale

Explanation: Ans. is 'd' i.e., Foramen ovale FORAMENSTRUCTURES PASSING THROUGH ITForamen ovaleMandibular nerveAccessory meningeal arteiyLesser petrosal nerveEmissary vein(MALE)Foramen spinosumMiddle meningeal arteryEmissary veinNervus spinosus(MEN)Foramen lacerummeningeal branch of ascending pharyngeal arteryGreater petrosal nerve unites with deep petrosal nerve to form the nerve of the ptery goid canalCarotid canalInternal carotid artery and the sympathetic plexus around itForamen rotundumMaxillary nervePterygoid canalVidian nerve (nerve of pterygoid canal)Vidian arteryStylomastoid foramenFacial nerveJugular foramenInternal jugular veinEmissary veinOccipital arteryInferior petrosal sinus9th, 10, 11th nervesHypoglossal canal12th nerveMeningeal branch of ascending pharyngeal arteryrGreater palatine foramenGreater palatine vesselsAnterior palatine nervesIncisive foramenGreater palatine vesselsnasopalatine nervesLesser palatine foramenMiddle and posterior palatine nerves.Internal accoustic meatusFacial N.Auditory N.Nervus intermedius(wrisberg)Labyrynthine vessels